Which nerve is closely related to the shoulder joint capsule?
1. Radial nerve
2. Ulnar nerve
3. Subscapular nerbe
4. Axiallary nerve

Correct answer: 4. Axiallary nerve

Explanation: Ans. is 'd' i.e., Axiallary nerve * Axillary nerve is closely related to the inferior part of the shoulder joint capsule.